What is the recommended daily energy requirement in a 15 kg child
1. 1500 KCal
2. 1000 KCal
3. 1250 KCal
4. 1400 KCal

Correct answer: 3. 1250 KCal

Explanation: Body weight
Recommended daily energy requirement


< 10 Kg
100 KCal / kg


10 - 20 kg
1000 KCal + 50 Kcal / Kg for each kg above 10 Kg


> 20 Kg
1500 KCal + 20 KCal / Kg for each kg above 20 kg



∴ 15 kg child 
= 1000 KCal + 50 X 5
= 1250 KCal.